Which is the only muscle that is located on the external aspect of larynx?
1. Cricothyroid
2. Lateral cricoarytenoid
3. Thyroarytenoid
4. Posterior cricoarytenoid

Correct answer: 1. Cricothyroid

Explanation: Cricothyroid is the only muscle that is located on the external aspect of larynx. it is supplied by the external laryngeal nerve. It is a tensor and mild adductor of the vocal cord. Abductor of vocal cord: Posterior cricoarytenoid Adductors of vocal cord are: Cricothyroid Thyroarytenoids Lateral cricoarytenoid Transverse arytenoids Relaxant of vocal cords: Vocalis Thyroarytenoid